For survey of immunization by WHO age group selected is ?
1. 12 - 23 months
2. 0 - 6 months
3. 6 - 12 months
4. 2 - 5 years

Correct answer: 1. 12 - 23 months

Explanation: Ans. is 'a' i.e., 12 - 23 months In the Expanded programme on Immunization (EPI) cluster technique, a simplified cluster sampling method is used. It is based on ranodm selection of 210 children who are 12-23 months of age. These patients are selected in 30 clusters of 7 children each to estimate immunization coverage levels.